Which vitamin is related to a co-factor in glycine Metabolism?
1. V, E
2. Folic acid
3. Thiamine
4. Pantothenic acid

Correct answer: 2. Folic acid

Explanation: Tetrahydrofolic acid and S- adenosyl methionine act as a carrier compound for single carbon units.